IQ between 50-70 indicates -
1. Mild mental retardation
2. Moderate retardation
3. Severe retardation
4. Profound retardation

Correct answer: 1. Mild mental retardation

Explanation: Ans. is 'a' i.e., Mild mental retardation Classification of mental retardation o A child with IQ 70 is called as mentally retarded. Degree of MR IQ Mild 51-70 Moderate 36-50 Severe 21-35 Profound 0-20 o IQ level between 71-90 is designated as borderline intelligence.